A child has tnicrocephaly, blue eyes, Fair skin, and Intellectual disability, Ferric chloride test is positive.What is the likely diagnosis -
1. Phenylketonuria (PKU)
2. Homocystinuria
3. Tyrosinosis
4. Alkaptonuria

Correct answer: 1. Phenylketonuria (PKU)

Explanation: Clinical manifestations of phenylketonuria 

Normal at birth
Symptoms occur after 1 months -


Intellectual disability → Not present at birth, develops gradually.
Neurological signs Irritability, tremors, convulsions, hyperkinesis and muscular hypertonia & exaggerated reflex.
Blond hair, blue iris, fair skin.
Musty or mousy body odor.
Vomiting
Microcephaly
Enamel hypoplasia & Growth retardation